The most characteristric finding in diabetic nephropathy is:
1. Diffuse glomerulosclerosis
2. Nodular glomerulosclerosis
3. Armani-Ebstein reaction
4. Fibrin caps

Correct answer: 2. Nodular glomerulosclerosis

Explanation: Answer is B (Nodular glomerulosclerosis) : The most characteristic lesion in Diabetic Nephropathy is Nodular glomerulosclerosis. Nodular glomerulosclerosis is virtually pathognomicQ of diabetes mellitus- Robbins Glomerular Lesions in Diabetes Diffuse glomerulosclerosis : Nodular glomerulosclerosis * Is the most common pattern of involvementQ * Is virtually pathognom0 of diabetes mellitus * The most common pathological change is thickening of glomerular basement membrane which occurs virtually * Is also called Kimmelstiel-Wilson lesion or Intercapillary glomerulosclerosise in all diabetics and is part and parcel of diabetic microangiopathy * The pathological change consist of one or more nodules in a few or many glomeruli * Various exudative lesions such as capsular hyaline drops or 'fibrin caps' may be present * Uninvolved lobules and glomeruli all show striking diffuse glomerulosclerosis * Capsular dropQ : is an eosinophilic thickening of parietal layer of Bowman's capsule and bulges into glomerular space * Fibrin capsQ : is a homogeneous eosinophilic material appearing on the wall of a peripheral capillary of a lobule